Eosinophilic abscess in the lymph node is characteristically seen in -
1. Kimura's disease
2. Hodgkin's lymphoma
3. Tuberculosis
4. Sarcoidosis

Correct answer: 1. Kimura's disease